Atrial myxoma commonly arises from
1. Left ventricle
2. Left atrium
3. Right ventricle
4. Right atrium

Correct answer: 2. Left atrium

Explanation: Ans. is 'b' i.e., Left atrium